Gastrin is a marker of which carcinoma?
1. Medullary carcinoma of thyroid
2. GIST
3. Gastric carcinoma
4. Pancreatic neuroendocrine tumor

Correct answer: 4. Pancreatic neuroendocrine tumor

Explanation: Gastrinoma: (Zollinger Ellison Syndrome): Marked hyper recreation of gastrin usually has its origin in gastrin- producing tumor, which are just as likely to arise in the duodenum and peripancreatic soft tissue as in pancreas (so called gastrinoma triangle) Gastrinoma is a type of pancreatic Neuro endocrine tumor(PNET) GI NET:- Gastrointestinal Neuro endocrine Tumor: PNET Carcinoid tumor Patient with MEN I syndrome have more chance of developing gastrinoma. - Medullary carcinoma of thyroid marker: Calcitonin. If patient have calcitonin negative medullary thyroid cancer most important tumor marker is CEA. - GIST- Mesenchymal tumor Origin: Cell of Cajal (Pacemaker of GIT) Vascular:- Bleeding Stomach Most specific tumor marker:- DOG-1CD 117>CD 34 - Due to overactivity of tyrosine kinase enzyme DOC :- Imatinib(Tyrosine kinase Inhibitor)